True about HACEK group of bacteria is ?
1. Anaerobes
2. Includes coxiella burnetii
3. Grain positive
4. Require CO2 for growth

Correct answer: 4. Require CO2 for growth